False about cystic fibrosis -
1. Associated with CFTR gene
2. Autosomal recessive inheritance
3. Associated with 7p chromosome
4. Recurrent respiratory tract infection

Correct answer: 3. Associated with 7p chromosome

Explanation: Ans. is 'c' i.e., Associated with 7p chromosome